Which is not true of Tabes dorsalis?
1. Seen in neuro syphilis
2. Paresthesia is seen
3. Deep tendon reflexes are retained
4. Abdominal pain and visceral symptoms occur

Correct answer: 3. Deep tendon reflexes are retained

Explanation: Deep tendon reflexes are retained REF: Harrison's Principles of Internal Medicine 17th ed chapter 372 TABES DORSALIS: The classic syndromes of tabes dorsalis and meningovascular syphilis of the spinal cord are now less frequent than in the past but must be considered in the differential diagnosis of spinal cord disorders. The characteristic symptoms of tabes are fleeting and repetitive lancinating pains, primarily in the legs or less often in the back, thorax, abdomen, arms, and face. Ataxia of the legs and gait due to loss of position sense occurs in half of patients. Paresthesias, bladder disturbances, and acute abdominal pain with vomiting (visceral crisis) occur in 15-30% of patients. The cardinal signs of tabes are loss of reflexes in the legs; impaired position and vibratory sense; Romberg's sign; and, in almost all cases, bilateral Argyll Robertson pupils, which fail to constrict to light but accommodate. Diabetic polyradiculopathy may simulate tabes.